A middle aged man presents to your clinic complaining of restlessness. During his time in the waiting room of your clinic you notice him to be pacing here and there through the CCTV, On visual examination he also has a noticeable hand tremor. he says that he had been taking haloperidol for his Mania, for the past two months. Which of the following condition is the patient suffering from?
1. Dystonia
2. Restless leg syndrome
3. Akathisia
4. Anhedonia

Correct answer: 3. Akathisia

Explanation: In the above mentioned clinical scenario the patient is complaining of restlessness, tremors which are characteristic features of haloperidol induced Akathisia (HALOPERIDOL: has highest risk for causing EPS) AKATHISIA: M/C EPS DOC FOR TREATMENT: PROPRANOLOL EPS: DYSTONIA: DOC- BENZHEXOL AKATHESIA PARKINSONISM: DOC - BENZHEXOL TARDIVE DYSKINESIA: T/T VALBENAZINE MALIGNANT NEUROLEPTIC SYNDROME: DOC - DANTROLENE